Earliest change in cell death is?
1. Karyolysis
2. Loss of plasma membrane
3. Cell swelling
4. Karyorrhexis

Correct answer: 3. Cell swelling

Explanation: Ans. (c) Cell swelling(Ref: Robbins 9th/pg 46; 8th/pg 12)Earliest change in any form of cell injury is cellular swelling due to accumulation of water intracellularly.